Which part of ventricular action potential corresponds to ST segment in ECG?
1. Phase 0
2. Phase 1
3. Phase 2
4. Phase 3

Correct answer: 3. Phase 2

Explanation: Ans. C. Phase 2The phase 2 of ventricular action potential reflects the ST segment.